Which of the following bacteria is known as Eberth Gaaffky bacillus:
1. Klebsiella
2. Haemophilus aegipticus
3. Salmonella
4. Corynebacterium

Correct answer: 3. Salmonella

Explanation: Salmonella